A 25 year old male is undergoing incision and drainage of abscess under general anaesthesia with spontaneous respiration. The most efficient anaesthetic circuit is –
1. Maplelson A
2. Mapleson B
3. Mapleson C
4. Mapleson D

Correct answer: 1. Maplelson A